In malaria, pre-erythrocytic schizogony occurs in -
1. Lung
2. Liver
3. Spleen
4. Kidney

Correct answer: 2. Liver

Explanation: Ans. is 'b' i.e., Liver Stage of human cycleOccurs inPre-erythrocytic schizogonyLiverErythrocytic schizogonyRBCsExo-ery>throcytic schizogonyLiverGametogamyRBCs